Menadione is analog of:
1. Vitamin K
2. Vitamin A
3. Vitamin D
4. Vitamin C

Correct answer: 1. Vitamin K

Explanation: Ans. (a) Vitamin KRef: Harper's Biochemistry 30th edn. 1554* Menadione is the water soluble form of vitamin K.Forms of VITAMIN K Vitamin K1Vitamin K2Vitamin K3AkaPhylloquinoneMenaqui- noneMenadioneSourceSeveral green vegetables and prepared syntheticallySynthesized by Gl bacteria, supplies 50% human requirementSynthetic, Analog of 1,4-naphtho- quinineSolubilityFat solubleFat solubleDiphosphate salt is Water soluble* Vitamin K Is the Coenzyme for Carboxylation of Glutamate in Postsynthetic Modification of Calcium Binding Proteins. Vitamin K Is Also Important in Synthesis of Bone Calcium Binding Proteins.* Dicumarol is an anticoagulant that functions as a vitamin K antagonist.